GV  Black simply classified cavities as:
1. Two classes of smooth surface and three classes of pit and  fissure lesions
2. Three classes of smooth surface and  two  classes of pit  and  fissure lesions
3. One  class  of  pit  and  fissure  and  four  classes  of  smooth  surface lesions
4. None of the above

Correct answer: 3. One  class  of  pit  and  fissure  and  four  classes  of  smooth  surface lesions